Abbey estender flap is based on
1. Lingual artery
2. Facial artery
3. Labial artery
4. Internal maxillary artery

Correct answer: 3. Labial artery

Explanation: .abbey flap is used for lip reconstruction so it is based on labial artery